Most common congenital tumour of conjunctiva is
1. Papilloma
2. Squamous cell carcinoma
3. Epibulbar dermoid
4. Melanoma

Correct answer: 3. Epibulbar dermoid

Explanation: Commonest congenital tumour of the conjunctiva - Epibulbar dermoid